Palatoglossus is supplied by:
1. Glossopharyngeal nerve
2. Hypoglossal nerve
3. Cranial accessory nerve
4. Mandibular nerve

Correct answer: 3. Cranial accessory nerve

Explanation: All intrinsic and extrinsic muscles of tongue are supplied by hypoglossal nerve except palatoglossus which is supplied by cranial accessory nerve.